Reactivation tuberculosis is almost excusively a disease of the -
1. Lungs
2. Bones
3. Joints
4. Brain

Correct answer: 1. Lungs

Explanation: Secondary TB is due to reactivation and involves Lung particularly the apical and posterior segments of upper lobe.